All of the following are are features of VIPoma, except:
1. Hypokalemia
2. Hypochlorhydria
3. Flushing
4. Hypocalcemia

Correct answer: 4. Hypocalcemia

Explanation: The principal symptoms are large-volume diarrhea severe enough to cause hypokalemia, dehydration, hypochlorhydria, and flushing. Patients frequently have hyperglycemia and hypercalcemia. Ref: Harrisons Principles of Internal Medicine, 18th Edition, Page 3068.